The drug for OPD analgesia is -
1. Morphine
2. Pethidine
3. Fentanyl
4. Alfentanil

Correct answer: 4. Alfentanil

Explanation: Ans. is 'd' i.e., Alfentanil Drugs useful for day care surgery o Propofol o Sevoflurane, desflurane & isoflurane o Midazolam o Mivacurium o Alfantanil